Most common malignancy of bone is?
1. Secondary
2. Multiple myeloma
3. Osteoid osteoma
4. Osteosarcoma

Correct answer: 1. Secondary

Explanation: ANSWER: (A) secondaryREF: Apley's 8th edition page 191Most common malignancy of bone: secondariesMost common primary malignancy of bone: multiple myelomaMost common benign tumour of bone: osteochondromaMost common malignancy of bone in children and adolescents: osteosarcomaMost common benign true bone tumor: osteoid osteoma